Microwave curing of acrylic resin depicts
1. Heat conduction
2. Energy connexion
3. Electrical resistance
4. electro Magnetic waves

Correct answer: 4. electro Magnetic waves